A young male met with RTA, the patient is dyspnoea on auscultation breath sounds are absent on right side and has hypotension. What is immediate next step?
1. Urgent IV fluid administration
2. Intubate the patient
3. Chest X-ray
4. Needle insertion in 5th intercostal space

Correct answer: 4. Needle insertion in 5th intercostal space

Explanation: Clinical history is suggestive of diagnosis of Tension Pneumothorax Conscious + Speaking Single words Dyspnoea Tachypnea Low BP Absent breath sound on one side Management: Clinical dx with dire emergency: T/t should be never delayed for radiological confirmation. Hence, CXR is not performed. T/t of choice: Intercoastal Chest Tube insertion - 5th ICS (Triangle of Safety) in anterior axillary lines